Causes of high anion gap acidosis are the following EXCEPT
1. Lactic acidosis
2. DKA
3. Renal failure
4. Diarrhea

Correct answer: 4. Diarrhea

Explanation: Ans. d (Diarrhea) (Ref: Q. 178 of MH-2007).ANION GAP# The anion gap may be calculated by using (sodium + potassium) - (bicarbonate + chloride)# Normal =10-12 mmol/L# Causes of a normal anion gap or hyperchloraemic metabolic acidosis- Gastrointestinal bicarbonate loss: diarrhea, ureterosigmoidostomy, fistula- Renal tubular acidosis- Drugs: e.g., acetazolamide- Ammonium chloride injection- Addison's disease# Causes of a raised anion gap metabolic acidosis- Lactate: shock, hypoxia- Ketones: diabetic ketoacidosis, alcohol- Urate: renal failure- Acid poisoning: salicylates, methanolAlso know:Ethylene glycol, methanol, and isopropyl alcohol - all cause an elevated osmolal gap, but only the first two cause a high- AG acidosis.